AIDS kidney changes -
1. MCD
2. FSGS
3. MPGN
4. Berger disease

Correct answer: 2. FSGS

Explanation: FSGS may be primary (idiopathic) or secondary to one of the following conditions:* In association with other conditions, such as HIV infection (HIV nephropathy) or heroin abuse (heroin nephropathy)* As a secondary event in other forms of GN (e.g., IgA nephropathy)* As a maladaptation to nephron loss Ref: Robbins basic pathology 9th edition pg no;525 Renal lesions and manifestations. Features of renal impairment may appear due to HIV-associated nephropathy and genitourinary tract infections including pyelonephritis. Ref: Textbook of pathology Harsh Mohan 6th edition page 72